True about Multiple myeloma are all Except:
1. Bence Jones protein in urine
2. Hypogammaglobulinemia
3. Amyloidosis
4. Plasmacytosis < 10%

Correct answer: 4. Plasmacytosis < 10%

Explanation: Answer is D (Plasmacytosis < 10%) Multiple myeloma is characteristically associated with Plasmacytosis >10%. Multiple myeloma may be associated with both Hypogammaglobulinemia and Hypergammaglobulinemia. Electrophoresis Pattern in Multiple Myeloma Monoclonal Hypergammaglobulinemia (M spike) This is the characteristic electrophoresis pattern in Myeloma Hypogammaglobulinemia About 10-20% of multiple myeloma patients present with Hypogammaglobulinemia on electrophoresis. This configuration is suggestive of light chain variant of multiple myeloma in which Bence Jones proteins are excreted into urine without a serum myeloma protein being evident with routine electrophoresis techniques. `Multiple Myeloma results in hypergammaglobulinemia of a specific class of immunoglobulins. Hypogammaglobulinemia also justifies a search for myeloma especially for the possibility of light chain disease. ' Multiple Myeloma may be with Bence Jones Proteins, Amyloidosis & Renal failure